Which of the following is not a manifestation of neonatal tetanus:
1. Irrritability
2. Hypotonia
3. Difficult feeding
4. Facial grimacing

Correct answer: 2. Hypotonia

Explanation: Ans. B: Hypotonia Features of neonatal tetanus: Muscle rigidity Irritability, excessive crying Dysphagia Restlessness Facial grimacing Muscle spasm Poor suck Constipation